RNA polymerase differs from DNA polymerase:
1. It edits and synthesis
2. Synthesise RNA primers
3. Synthesis only in 5' to 3' direction
4. Uses RNA templates

Correct answer: 2. Synthesise RNA primers

Explanation: Ans: b (Synthesizes RNA primer) Ref: Vasudevan, 4th ed, p. 406; 5th ed, p. 424; Lippincott, p.402DNA polymerases require a primer (RNA primer) where as RNA polymerase does not. This short primer is synthesized by primase (RNA polymerase)Comparison of dna and rna polymerase DNA POLYMERASERNAPOLYMERASE Nucleic acid synthesized(5'-3')DNARNA Required template {option d)}(Copied 3' - 5')DNA*DNA* Required substratesd-ATP, d-GTP, d-CTP, d-TTPATP, GTP, CTP, UTP Required primerRNA (DNA)None Proof reading activity( 3'- 5' exonuclease )YesNo certain DNA and RNA polymerases require RNA templates e.g., viruses.Similarities include: Newly synthesized strand is made in the 5'-3' direction {option c) - so both synthesize in 5'-3' direction}. Template strand is scanned in the 3'-5' direction. The new strand is complementary and anti parallel to the template. Each new nucleotide added to 3' end of growing strand.